An 80-year-old chronic alcoholic was diagnosed with atrial fibrillation five years ago. His son describes a stepwise decline in his father's overall memory over these years. On examination, he is having pseudobulbar affect with brisk DTR in left upper extremity and up-going plantars. What is the diagnosis?
1. Binswanger's disease
2. Alzheimer's disease
3. Multi-infarct dementia
4. Vitamin B12 deficiency

Correct answer: 3. Multi-infarct dementia

Explanation: Chronic alcoholism leads to development of dilated cardiomyopathy and atrial fibrillation. The emboli from the heart can lead to multi small infarcts in the brain. This leads to development of a Multi-infarct dementia. Binswanger's disease Long-standing hypertension and atherosclerosis. Associated with diffuse subcortical white matter damage. Vitamin B12 deficiency In the setting of alcoholism will lead to the development of myelopathy involving dorsal column. Dementia seen is subcortical.